Which of the following is a technique based on behavior sciences methods?
1. Network analysis
2. Management by objective
3. Systems analysis
4. Decision making

Correct answer: 2. Management by objective

Explanation: Management by objective is one of the technique using behavioral science as basis. Other methods based on behavioral sciences. PERSONNEL MANAGEMENT COMMUNICATION INFORMATION SYSTEMS